c-AMP acts as a second messenger for all of the following hormones, EXCEPT:
1. GH
2. TSH
3. LH
4. Glucagon

Correct answer: 1. GH

Explanation: GH does not exert its effects through cAMP. It binds to its receptor and cause dimerization of the receptor, this is followed by activation of receptor associated kinase called Janus kinase 2. This kinase acts special signal transducers and activators of transcription proteins (STATs), which dimerize and translocate to the nucleus, transmitting signals to specific regulatory DNA response elements. cAMP is the second messenger of hormones such as calcitonin, ACTH, ADH, glucagon, LH, FSH, hCG, TSH, PTH and angiotensin II. cGMP acts as second messenger for: ANF, NO Calcium or phosphatidylinositol acts as second messenger for: Acetylcholine, gastrin, TRH, GnRH, angiotensin II, CCK, cholecystokinin Ref: Biochemistry Basics And Applied By Dr. R. A. Fursule page 16-4, Molina P.E. (2013). Chapter 3. Anterior Pituitary Gland. In P.E. Molina (Ed), Endocrine Physiology, 4e.